In allergic pharyngitis, granularity in posterior pharynx is due to
1. Hyperplasia of mucous membrane
2. Hyperplasia of sebaceous glands
3. Hyperplasia of submucosal lymphoid tissue
4. Inspissated mucous

Correct answer: 3. Hyperplasia of submucosal lymphoid tissue

Explanation: Pharyngeal signs include granular pharyngitis due to hyperplasia of submucosal lymphoid tissue. A child with perennial allergic rhinitis may show all the features of prolonged mouth breathing as seen in adenoid hyperplasia. Ref: Dhingra 7e pg 188.